Bradykinin is for all ; except
1. Pain
2. Vasodilatation
3. Vasoconstriction
4. Increase vascular permeability

Correct answer: 3. Vasoconstriction

Explanation: Increases vascular permeability
Arteriolar dilation
Bronchial smooth muscle contraction
Pain at the site of injections/inflammation

Since increased vascular permeability is the most characteristic feature of acute inflammation, some people were of the opinion that this could be single best option to be marked presuming the stem of question was correct.